Initial site of RBC production in fetus
1. Gestational sac
2. Yolk sac
3. Placenta
4. Fetal bones

Correct answer: 2. Yolk sac

Explanation: Hematopoiesis - 1st demonstrable in yolk sac followed by liver and then finally spleen and bone marrow life span of fetal RBCs at term - 90 days